Which of the following is a nonmolar trophoblastic neoplasm?
1. Complete hydatidiform mole
2. Partial hydatidiform mole
3. Invasive mole
4. Choriocarcinoma

Correct answer: 4. Choriocarcinoma

Explanation: GTD histologically is divided into hydatidiform moles, which are characterized by the presence of villi, and nonmolar trophoblastic neoplasms, which lack villi.Nonmolar trophoblastic neoplasms include choriocarcinoma, placental site trophoblastic tumor,and epithelioid trophoblastic tumor.Reference: William's Obstetrics; 25th edition; Chapter 20; Gestational trophoblastic diseases